Socialization of medicine includes all of the following except:
1. Ensure complete utilization of services by all people
2. Free medical care supported by state
3. Eliminates the competition among physicians in search of clients
4. Not sufficient in itself to ensure complete utilization of health services

Correct answer: 1. Ensure complete utilization of services by all people

Explanation: Ans. a. Ensures complete utilization of services by all people (Ref: Park 21st/9; Paul Burleigh Horton, Gerald R. Leslie. The Sociology of Social Problems/p59)Socialization of medicine does not ensure complete utilization of health services by all people (AllMS November 2006 Repeat)''Socialized medicine describes a system for provision of medical service and professional education by the state as state medicine, but the programme is operated and regulated by professional groups rather than by the government. State medicine implies provision of free medical service to the people at government expense."- Park 21st/9Socialized MedicineEliminates the competition among physicians in search of clientsIt ensures social equity, that is universal coverage by health servicesProvides free medical care, supported by stateHowever mere socialization is not sufficient to ensure utilization of health servicesWhat is required is 'community participation' which as envisaged by WHO and UNICEF is 'the process by which individuals and families assume responsibility for their own health and welfare and for those of the community, and develop the capacity to contribute to their and the community's development.